Severity of acute diseases can be best analyzed by?
1. Standardized mortality ratio
2. Cause specific death rate
3. Case fatality rate
4. Age specific death rate

Correct answer: 3. Case fatality rate